Which of these statements is false about medullary carcinoma?
1. Calcitonin is tumor marker
2. Arises from neural crest
3. Associate with MEN 1 syndrome
4. Diarrhoea is predominant

Correct answer: 3. Associate with MEN 1 syndrome